Absolute Contraindication for the Use of OCPs is:
1. Thromboembolism
2. Hypertension
3. Diabetes
4. Epilepsy

Correct answer: 1. Thromboembolism

Explanation: Absolute contraindications of OCP'S: - C - Cancers - L - Liver diseases - U - Uterine bleeding - T - Thromboembolism - C - Cardiovascular diseases - H - Hyperlipidemia - Preganancy Also remember, Long-standing or complicated diabetes (with microvascular complications) is absolute contraindication. Grade I hypertension is relative contraindication and Grade II is absolute. Simultaneous use of some anti-epileptics is relatively contraindicated .